Injury to popliteal artery in fracture lower end of femur can be caused by -
1. Proximal fragment
2. Muscle haematoma
3. Distal fragment
4. Tissue swelling

Correct answer: 3. Distal fragment

Explanation: Ans. is 'C' i.e., Distal fragment o In distal third shaft fracture or supracondylar femur fracture, the distal fragment is tilted backward due to strong gastrocnemius pull. o This posteriorly tilted distal fragment can cause popliteal artery injury.